Pyrexia due to wound infection commonly occursafter-
1. Third post operation day
2. Fifth post operation day
3. Seventh post operation day
4. Second post operation day

Correct answer: 2. Fifth post operation day

Explanation: Ans. is 'b' i.e., Fifth post operation day "Wound infections most commonly occur 5 to 6 days post operatively but may present sooner or later than that" -Sabiston.